Chief advantage of sanitary pontic is
1. Economical
2. Easy to fabricate
3. Easy to keep oral hygiene
4. All of the above

Correct answer: 3. Easy to keep oral hygiene